Fibrinoid necrosis may be observed in all of the following except -
1. Malignant hypertension
2. Polyarteritis nodosa
3. Diabetic glomerulosclerosis
4. Aschoff's nodule

Correct answer: 3. Diabetic glomerulosclerosis

Explanation: Ans. is 'c' i.e., Diabetic glomerulosclerosis Fibrinoid necrosis o Fibrinoid necrosis is special form of necrosis usually seen in immune reactions involving blood vessels. o This pattern of necrosis typically occurs when complexes of antigen and antibodies are deposited in the walls of arteries. o Deposits of these "immune complexes", together with fibrin that has leaked out of vessels, result in a bright pink and amorphous appearance in H & E stains, called "fibrinoid' (fibrin like) by pathologists. o It is seen in : degImmune complex vasculitis 2)Malignant hypertension. o Deposition of immune complexes, together with fibrin, results in bright pink and amorphous appearance in H & E stain, called fibrinoid (fibrin like). o Diseases with fibrinoid necrosis (from internet) Malignant hypertension SLE HBV PAN Henoch-scholein purpura Near peptic ulcer Acute rheumatic fever (Aschoff's nodule) SABE Malignancy Rheumatoid arthritis